Distichiasis is -
1. Abnormal inversion of eyelashes
2. Abnormal extra row of cilia
3. Abnormal eversion of eyelashes
4. Misdirected cilia

Correct answer: 2. Abnormal extra row of cilia

Explanation: Congenital anomaly in which an extra row of cilia occupies the position of meibomian gland .Distichiasis is a rare disorder defined as the abnormal growth of lashes from the orifices of the meibomian glands on the posterior lamella of the tarsal plate Ref :Ak khurana 6th edition REF IMG